Risk of scar rupture in previous LSCS with lower segment scar is -
1. 1%
2. 5%
3. 10%
4. 50%

Correct answer: 1. 1%

Explanation: Ans. is 'a'i.e., 1% o The risk of lower segment scar - rupture is low (0[?]2-1[?]5%) and even if it does occur, maternal death is much less and the perinatal mortality is about 1 in 8.o Previous history of classical caesarean section or hysterotomy makes the woman vulnerable to unpredictable rupture of the uterus. This may occur either late during pregnancy or during labour and when it does, the maternal mortality is to the extent of 5% and the perinatal mortality to 75%.